The average blood loss in ankylostomiasis per worm is -
1. 0.2 -0.3ml/day
2. 2 -4ml/day
3. 0.33 -1ml/day
4. 0.15-0.25 ml/day

Correct answer: 4. 0.15-0.25 ml/day

Explanation: A duodenale ingests 0.15 -0.25 ml/ day. They also secrete anticoagulants at the site of attachment so that bleeding from these sites continue. Ref : panikers textbook of Medical parasitology 8th edition page 191